Thymic hypoplasia is seen in which of the following?
1. Wiskott-Aldrich syndrome
2. Digeorge syndrome
3. IgA deficiency
4. Agammaglobulinemia

Correct answer: 2. Digeorge syndrome

Explanation: DiGeorge syndrome/Thymic hypoplasia/Velocardiofacial syndrome T cell deficiency Failure of devt of 3rd & 4th pharyngeal pouches Individuals have Variable loss of T cell mediated immunity - hypolastic thymus Tetany - lack of parathyroids Congenital defects of heart & great vessels T cell zones of lymphoid organs are depleted Deletion of gene mapped to chr 22q11